Keratometry is useful in measuring
1. Corneal curvature
2. Corneal thickness
3. Corneal diameter
4. Depth of anterior chamber

Correct answer: 1. Corneal curvature

Explanation: A i.e. Corneal curvature Keratometry or opthalmometry is objective method of estimating the corneal astigmatism by measuring curvature of cornea Q. Its readings are not of much value in routine refraction for prescribing glasses but are of utmost value for prescribing, contact lens and for calculating the power of intraocular lens to be implanted. Examination Done by Corneal thickness Patchymeter Corneal endothelium (the normal cell density is r.:., 3000-4000 cells/mm 2) Specular microscope Corneal curvature Keratometer Q Corneal sheen (shining or polish) Placido's disc examination (there is loss of sharpness of the outline of image of circles) Corneal surface Placido's disc, window reflex, slit lamp biomicroscopy Corneal staining Fluorescein stain: corneal ulcer is stained brilliant green. Alcian blue: stains excess mucus selectively Bengal rose 1% (with Xylocaine 2%): stain diseased & devitalized cells red